Best suture for common bile duct is
1. Synthetic absorbable
2. Synthetic Non-Absorbable
3. Non-synthetic absorbable
4. Non-synthetic Non-Absorbable

Correct answer: 1. Synthetic absorbable

Explanation: Synthetic absorbable suture such as vicryl is preferred for CBD Vicryl sutures are used in general soft tissue approximation and vessel ligation Non absorbable sutures ordinarily remain when they are buried within the tissues. This can cause late complications such as the development of gallstones around Non-Absorbable sutures in the CBD or bladder stones in the urinary bladder. In these situations it is best to use absorbable materials Ref: Shackelford 7th edition Pgno : 2222-2224